Most common indication for liver transplantation in children is
1. Biliary atresia
2. Indian childhood cirrhosis
3. HCC
4. Hepatitis C infection

Correct answer: 1. Biliary atresia

Explanation: Indication for liver transplantation in children Biliary atresia ( most common) Neonatal hepatitis Congenital hepatic fibrosis Alagille's syndrome Byler's disease Alpha-1 Antitrypsin deficiency Ref: Sabiston 20th edition Pgno : 637-638